A young boy presented with miultiple flaccid bulla and oral mucosal lesion: The most likely finding would be:
1. Granular lgA in reticular dermis
2. IgG in epidermis
3. Linear IgM inderoepidermal junction
4. Linear IgA in dermal papillae

Correct answer: 2. IgG in epidermis

Explanation: IgG in epidermis